Leucocoria is seen in all except
1. Retinoblastoma
2. Congenital glaucoma
3. Persistent primary hyperplastic vitreous
4. Fungal Endophthalmities

Correct answer: 2. Congenital glaucoma

Explanation: In congenital glaucoma the cornea is white due to edema as a result of increased IOP, but Leucocoria is not seen . Refer khurana 6/e 415